Best radiological view for diagnosis of fracture scaphoid is:
1. Anteroposterior
2. Lateral
3. Oblique
4. Any of the above

Correct answer: 3. Oblique

Explanation: Ans. Oblique